True statement about fish belly pontic is:
1. The gingival surface of pontic is convex both buccolingually and mesiodistally.
2. The gingival surface of pontic is concave both buccolingually and mesiodistally.
3. The gingival surface of pontic is concave buccolingually and convex mesiodistally.
4. The gingival surface of pontic is concave mesiodistally and convex buccolingually.

Correct answer: 1. The gingival surface of pontic is convex both buccolingually and mesiodistally.